Non-propulsive peristalsis is a feature of
1. Paralytic ileus
2. Impacted faeces
3. Mesenteric vascular occlusion
4. Incarceration

Correct answer: 3. Mesenteric vascular occlusion